Trichophyton species which is zoophilic ?
1. T. tonsurans
2. T. violaceum
3. T. schoenleinii
4. T. mentagrophytes

Correct answer: 4. T. mentagrophytes

Explanation: Ans. is 'd' i.e. mentagrophytes Zoophilic dermatophytes are the species which primarily infect animals and occasionally transmitted to humans. Zoophilic species of trichophyton are T. montegrophytes and T verrucosum. Other zoophilic species of dermatophytes is M. canis.